Which of the following is true with Giardia lamblia-a) Malabsorption commonly seenb) Trophozoite forms is binucleatec) Diarrhea is seend) Jejunal wash fluid is diagnostic
1. a
2. c
3. ac
4. bc

Correct answer: 4. bc

Explanation: Malabsorption is seen only in few cases, most patients are asymptomatic.
Most common presentation is diarrhea with abdominal pain, nausea and vomiting.
Trophozoite is bilateral, symmetrical and all organs of body are paired.


2 Axostyles
4 pairs of flagella
2 Nuclei
2 Sucking discs.


The gold - standard for diagnosis of giardiasis is microscopic demonstration of the trophozoite, cyst or both in faeces.

─ Rajesh Kaiyakarte p. 39.

Duodenal aspirate or jejunal biopsy (not Jejuna' wash fluid) may be required for diagnosis.

─ Harrison p. 1200. 
Remember

Metronidazole and tinidazole are drug of choice for Giardia lambia.